A fixed bridge with pontics rigidly fixed to the retainers 
provides:
1. Strength to the abutments
2. Reduction of stress associated with restoration
3. Aesthetics to the fixed bridge
4. Reciprocation of forces acting on the pontic

Correct answer: 2. Reduction of stress associated with restoration